The only non catecholamine sympathomimetic drug out of the following is
1. Adrenaline
2. Ephedrine
3. Dopamine
4. Isoprenaline

Correct answer: 2. Ephedrine

Explanation: Ref-Goodman and Gillman 11/e p239 Catecholamine are the drugs having dihydrobenzene nucleus in it's structure.adrenaline, isoprenaline and dopamine contain this structure